Auerbach plexus is present in the
1. Mucosa layer
2. Submucosa layer
3. Muscular layer
4. Serosa layer

Correct answer: 3. Muscular layer

Explanation: The cells of the Auerbach's (myenteric) plexus are located between the inner circular and outer longitudinal layers of the muscularis externa. These nerve cells are the portion of the enteric nervous system responsible for generating peristaltic movements. Ref - medscape.com